Screening is a type of -
1. Primordial prevention
2. Secondary prevention
3. Primary prevention
4. Tertiary prevalence

Correct answer: 2. Secondary prevention

Explanation: .
secondary prevention can be defined as"action which halts the progress of a disesease at its incipient stage and prevents complications.the specific interventions are early diagnosis including SCREENING tests ,case finding programmes and adequate treatment,secondary prevention attempts to arrest the disease process;restore health by seeking out unrecognised disease and treating it before irreversible pathological changes have taken place;and to reverse communicability of infectious disesases .it may also protect others in the community from acquiring the infection and thus provide at once secondary prevention for the infected individuals and primary prevention for their potential contacts.

ref:park's textbook of preventive and social medicine,22 nd edition,pg no39